A non-invasive way of evaluating implant stability by impact resistance
1. Periotest
2. Transgingival probing
3. Bone sounding
4. Probing

Correct answer: 1. Periotest